Excision of head of radius in a child should not be done because
1. It produces instability of elbow joint
2. It leads to secondary Osteo arthritis of elbow
3. It causes subluxation of inferior radio-ulnar joint
4. It causes myositis ossificans.

Correct answer: 3. It causes subluxation of inferior radio-ulnar joint

Explanation: C i.e. It causes subluxation of inferior radioulnar joint